Cervical intraepithelial neoplasia III with no colposcopy activity treatment of choice :
1. Hysterectomy
2. Radiotherapy
3. Conisation
4. Follow up after 1 year

Correct answer: 3. Conisation

Explanation: Conisation